Which of the following is not a ketose?
1. Ribose
2. Erythrulose
3. Fructose
4. Ribulose

Correct answer: 1. Ribose

Explanation: Ketoses: sugars with keto group. Ex: Dihydroxyacetone, Erythrulose, Xylulose, Ribulose, Fructose, SedoheptuloseRef: DM Vasudevan, 7th edition, page no: 70